Stage of contraction of family starts at -
1. Marriage
2. Birth of fis child
3. Birth of last child
4. Leaving home of first child

Correct answer: 4. Leaving home of first child

Explanation: -family is a group of biologically related individuals living together and eating from a common kitchen. - the stage of contraction of family begins when the first child leaves the home and ends when the last child leaves the home of parents. Reference : Park's textbook of preventive and social medicine, 23rd edition, pg no:683